Upper and lower boundaries of confidence interval can be termed as:
1. Confidence index
2. Confidence limit
3. Confidence level
4. None of the above

Correct answer: 2. Confidence limit

Explanation: Confidence level:
Is the level of hope or expectation fixed at a sufficiently high level while dealing with samples, to ensure high reliability.
Confidence limit: Are the upper and lower boundaries of a confidence interval.